All are related to the posterior surface of bladder except-
1. Ureter
2. Rectum through rectovesical pouch
3. Seminal vesicles
4. Vas deferens

Correct answer: 1. Ureter

Explanation: The posterior surface of bladder relation
-        Female

Cervix
Vagina

-        Male

Rectovesical pouch and rectum
Seminal vesicles
Ampulla of vas deferens